A 50 year old male presented with history of hematemesis - 500ml of blood and on examination shows BP- 90/60, PR-110bpm and splenomegaly 5cm below lower costal margin. Most probable diagnosis is
1. Malory-weiss tear
2. Duodenal ulcer
3. Gastritis
4. Portal hypertension

Correct answer: 4. Portal hypertension

Explanation: Splenomegaly and massive bleeding leading to hypotension are in favour of portal hypertension. Common causes of upper Gastrointestinal Hemorrhage Non-variceal bleeding (80%) Portal Hypertensive Bleeding (20%) Peptic ulcer disease (MC) 30-40% Gastroesophageal varices >90% Malory-weiss tear 15-20% Hypertensive portal gastropathy <5% Gastritis or duodenitis 10-15% Isolated gastric varices <5% Esophagitis 5-10% Arteriovenous malformations 5% Tumors 2% Others 5% Ref: Sabiston 20th edition Pgno : 1142